Cardiac end of stomach lies at which rib?
1. 8th rib
2. 7th rib
3. 9th rib
4. 10th rib

Correct answer: 2. 7th rib

Explanation: Ans. (b) 7th ribRef: Essentials of Anatomy IB singh 2nd ed. / 304